A 28 years old lady presented with wrist pain. X-ray wrist is showing lytic eccentric lesion in lower end of radius with soap bubble appearance. What is the next plan of management -
1. Bone curettage and bone grafting
2. Extended curettage with phenol
3. Biopsy of the lesion
4. Extended curettage with phenol and bone grafting

Correct answer: 3. Biopsy of the lesion

Explanation: Ans. is'c' 1.e., Biopsy of the lesion28 years female with lytic eccentric lesion in lower end of radius and soap bubble appearance suggest the diagnosis of GCT.Next plan of management would be biopsy of lesion to confirm the diagnosis.